All are familial breast cancer gene is all EXCEPT?
1. BRCA1
2. P53
3. P16
4. PTEN

Correct answer: 3. P16

Explanation: Ans. (C) P16Ref: Robbiris pathology 9th ed. /1054-55* Genes called BRCA1, BRCA2, TP53 or PTEN are linked with breast cancer.* P16 plays an important role in cell cycle regulation by decelerating cells progression from G1 phase to S phase, and therefore acts as a tumor suppressor that is implicated in the prevention of cancers, notably melanoma, oropharyngeal squamous cell carcinoma, cervical cancer, and esophageal cancer.